Periarteriolar lymphoid sheaths are seen in which organ:
1. Liver
2. Spleen
3. Kidney
4. Heart

Correct answer: 2. Spleen

Explanation: Ans. B: SpleenIn the white pulp, the T-cells areas surround the central arteries, forming the periarteriolar sheath (PALS)White pulpThe white pulp consists of lymphatic tissue surrounding arteries and nodules also associated with arteries.The nodules can be distinguished because of the arteries (central arteries).The lymphatic tissue immediately surrounding the central artery is known as the periarterial lymphatic sheath (PALS) and is composed of T-lymphocytes.The more peripheral part of the nodules is known as the peripheral white pulp (PWP) and consists of aggregates of B-lymphocytes.Red pulpThe red pulp is like a sponge composed of cords of cells (splenic cords) and splenic sinusoids (venous sinusoids).The splenic cords (Billroth cords) are composed of :- Reticular cells and fibers- Fixed and wandering macrophages- Lymphocytes- Plasma cells- Blood cells (erythrocytes, granulocytes) and pl